The ideal place to record body temperature in dead body is -
1. Rectum
2. Axilla
3. Mouth
4. Groin

Correct answer: 1. Rectum

Explanation: Ans. is 'a' i.e., Rectum o Most common site for recording temperature is the rectum.o Thermameter is inserted in rectum around 8-10 cm for 2 minutes.o Other sites for recording temperature are nose, ear (external auditory meatus), vagina, and under liver.